Most lateral deep cerebellar nucleus is?
1. Emboliform nucleus
2. Dentate nucleus
3. Globose nucleus
4. Fastigial nucleus

Correct answer: 2. Dentate nucleus

Explanation: Dentate nucleus REF: Gray's anatomy 39th edition page 398, http://en.wikipedia.org/wiki/Deep_cerebellar_nuclei Repeat in June 2011From lateral to medial, the four deep cerebellar nuclei are the Dentate, Emboliform, Globose, and Fastigial. An easy mnemonic device to remember their names and positions relative to the midline is the phrase "Don't Eat Greasy Food"